VEMP detects lesion of
1. Cochlear nerve
2. Superior vestibular nerve
3. Inferior vestibular nerve
4. Inflammatory lesions

Correct answer: 3. Inferior vestibular nerve

Explanation: The vestibular evoked myogenic potential (VEMP) are short latency electromyograms that are evoked by acoustic stimuli of high intensity and recorded from surface electrodes over the tonically contracted sternocleidomastoid muscle. The origin of VEMP is in the saccule. The response pathway consists of Saccule; Inferior Vestibular Nerve, Lateral Vestibular Nucleus, Lateral Vestibulospinal Tract and Sternocleidomastoid muscle.The test provides diagnostic information about saccular and/or inferior vestibular nerve function. An intact middle ear is required for the response quality.Ref: Hazarika; 3rd edition